Which of the following should be given first in a severely malnourished child ?
1. RESOMAL
2. Dextrose
3. 10% albumin
4. Vitamin A

Correct answer: 2. Dextrose

Explanation: The guidelines for the treatment of severely malnourished children are divided into five sections: A. General principles for routine care (the'10 steps') B. Emergency treatment of shock and severe anaemia C. Treatment of associated conditions D. Failure to respond to treatment E. Discharge before recovery is complete The'10 steps': 1. Treat/prevent hypoglycaemia 2. Treat/prevent hypothermia 3. Treat/prevent dehydration 4. Correct electrolyte imbalance 5. Treat/prevent infection 6. Correct micronutrient deficiencies 7. Start cautious feeding 8. Achieve catch-up growth 9. Provide sensory stimulation and emotional support 10. Prepare for follow-up after recovery These steps are accomplished in two phases: an initial stabilisation phase where the acute medical conditions are managed; and a longer rehabilitation phase.